Which drug is not used now in Alzheimer's disease
1. Tacrine
2. Galantamine
3. Donepezil
4. Rivastigmine

Correct answer: 1. Tacrine

Explanation: Because of hepatotoxicity,and requirements of frequent dosing,tacrine is less often used than other agents Ref-KDT 6/e p104,472,473